Vegetable poison mimicking viper snake poison is
1. Madar
2. Croton
3. Abrus
4. Semicarpus

Correct answer: 3. Abrus

Explanation: When an extract of abrus seeds is injected under the skin, symptoms resemble viperine snakebite and as such poisoning is not suspected. There is inflammation, edema, oozing of hemorrhagic fluid from the site of puncture and necrosis may occur. Commonly used as cattle poison in Indian villages to get the hide or for taking revenge. The toxic principle is injected into the animal in the form of fine needle-shaped structures called 'suis'.Powdered seeds are used by malingerers to produce conjunctivitis. Seeds are also used as an abortifacient and as the arrow poison. Ref - Krishan Vij textbook of forensic medicine and toxicology 5e pg - 477